Increased renin activity is seen in all of the following, except:
1. Benign nephrosclerosis
2. Malignant nephrosclerosis
3. Haemolytic Uremic Syndrome
4. Juxtaglomerular cell tumour

Correct answer: 1. Benign nephrosclerosis

Explanation: Answer is A (Benign Nephrosclerosis): Benign nephrosclerosis is usually not accompanied by increased production of renin or activation of the reninangiotensin-aldosterone pathway. Benign vs. Malignant Nephrosclerosis Nephrosclerosis refers to the ischemic changes of the kidney arising from vascular diseases affecting the renal arteries, typically hypertension. Benign Nephrosclerosis represents a typical change in renal blood vessels as a consequence of chronic nonspecific hypertension. Pathological changes in Benign Nephrosclerosis are usually not significant enough to activate the Renin Angiotensin Pathway. Malignant nephrosclerosis is a more severe form of nephrosclerosis with unique lesions in the form of fibrinoid necrosis of the afferent arterioles that can lead to renal ischemia. This activates the renin angiotensin pathway which in turn raises the blood pressure even more. Activation of the renin-angiotensin system could be a critical step in the transition from benign to malignant nephrosclerosis. Malignant nephrosclerosis is accompanied by increased production of renin, angiotensin, and aldosterone Hypertension in Haemolytic Uremic Syndrome is often renin mediated (Increased Renin) Hypertension in the acute phase of HUS is usually volume related while in the later stages it is often produced as a result of increased renin levels Juxtaglomerular Cell Tumours are associated with high renin levels Juxtaglomerular cell tumours may produce excess renin directly and cause hypertension without affecting renal circulation